Brain is stored in preservative...... for autopsy
1. Saline
2. EDTA
3. NaF
4. Formalin

Correct answer: 4. Formalin

Explanation: Formalin